Most immediate treatment of night blindness is -
1. Topical vitamin A
2. Vitamin A orally
3. Vitamin A parentrally
4. None

Correct answer: 2. Vitamin A orally

Explanation: All stages of xerophthalmia can be reversed by administration of massive dose orally on two successive days.